Ramnath attends the ophthalmology outpatient clinic in Kanpur, with yellowish white patch on the bulbar conjunctiva, near limbus. Which of the following is false regarding this condition?
1. There is elastotic degeneration of the substantia propria
2. Its always unilateral
3. The treatment is excision
4. May rarely undergo conversion into pterygium

Correct answer: 2. Its always unilateral

Explanation: The condition described here is typical presentation of Pinguecula which is usually bilateral. Though treatment is not routinely required, it can be excised. Ref: A K Khurana, 2nd Edition, Page 105.